Dabigatran toxicity is treated by
1. Protamine sulphate
2. Andexanet alfa
3. Idarucizumab
4. Argatroban

Correct answer: 3. Idarucizumab

Explanation: Idarucizumab is a monoclonal antibody used to treat Dabigatran toxicity.